Use of tadalafil is contraindicated in:
1. Pulmonary arterial hypertension
2. Unstable/Symptomatic angina
3. Active infections
4. Hepatic dysfunction

Correct answer: 2. Unstable/Symptomatic angina

Explanation: Ans. b. Unstable/Symptomatic anginaRef: Goodman Gilman 12th e/P. 841Nitrates increase cyclic GMP production by stimulation of guanylate cyclase via NO. This cyclic GMP is responsible for vasodilation.Cyclic GMP is metabolized by PDE-5 and hence PDE-5 inhibitors like sildenafil and tadalafil can significantly increase cyclic GMP producing fatal hypotension.Thus tadalafil is contraindicated with nitrates and hence unstable/symptomatic angina is the best answer.